Facial N. stimulation during testing of nerve indicated by contraction of muscle:
1. Temporalis
2. Masseter
3. Sternoleidomastoid
4. Orbiculatris oris

Correct answer: 4. Orbiculatris oris

Explanation: D i.e. Orbicularis oris